The most common malignant orbital tumor in children is:
1. Rhabdomyosarcoma
2. Cavernous Hemangioma
3. ALL
4. AML

Correct answer: 1. Rhabdomyosarcoma

Explanation: The most common malignant orbital tumour in children is Rhabdomyosarcoma. Rhabdomyosarcoma is the most common primary malignant orbital tumor in the pediatric age group. Ref: Head & neck surgery - otolaryngology: Volume 2 - Page 1501; Recent Advances in Ophthalmology - Volume 9 - Page 48.